Which of the following is the shortest acting betablocker:
1. Acebutolol
2. Sotalol
3. Bisoprolol
4. Esmolol

Correct answer: 4. Esmolol

Explanation: Ans. D: Esmolol